A child with an obvious rash presents with recurrent infections. The investigation revealed decreased platelet count and reduced IgM.  Which of the following is the most likely diagnosis –
1. Idiopathic Thrombocytopenic Purpura
2. Thrombotic Thrombocytopenic Purpura
3. Wiskott–Aldrich Syndrome
4. Di' George anomaly

Correct answer: 3. Wiskott–Aldrich Syndrome

Explanation: The classical triad of rash, thrombocytopenia and recurrent infection (immunodeficiency; ↓-IgM) suggest a diagnosis of Wiskott-Aldrich Syndrome.